True about hemochromatosis -
1. Is genetically heterogenous
2. Cannot be treated by phlebotomy
3. Completely penetrant
4. More common in females

Correct answer: 1. Is genetically heterogenous